What is the nerve supply of cornea -
1. Maxillary division of trigeminal nerve
2. Facial Nerve
3. Auriculotemporal nerve
4. Ophthalmic division of Cranial nerve V

Correct answer: 4. Ophthalmic division of Cranial nerve V

Explanation: Ans. is 'd' i.e., Ophthalmic division of Cranial nerve V Innervation of cornea:o The cornea is one of the most sensitive tissues of the body, as it is densely innervated with sensory nerve fibres via the ophthalmic division of the trigeminal nerve by way of70-80 long ciliary nerves and short ciliary nerves. Research suggests the density of pain receptors in the cornea is 300-600 times greater than skin and 20-40 times greater than dental pulp, making any injury to the structure excruciatingly painfulo The ciliary nerves run under the endothelium and exit the eye through holes in the sclera apart from the optic nerve (which transmits only optic signals).o The nerves enter the cornea via three levels; scleral, episcleral and conjunctival. Most of the bundles give rise by subdivision to a network in the stroma, from which fibres supply the different regions. The three networks are, midstromal, subepithelial/sub-basal, and epithelial. The receptive fields of each nerve ending are very large, and may overlap.